BRCA 1 gene is located on
1. 11q
2. 13q
3. 17q
4. 19q

Correct answer: 3. 17q

Explanation: BRCA1 (on chromosome 17q21) and BRCA2 (on chromosome 13q12.3) are both large genes, and hundreds of different mutations distributed throughout their coding regions have been associated with familial breast cancers.Ref: Robbins; 9th edition; Chapter 23; The Breast; Page no: 1054